Pale infarct is seen in following except
1. Lung
2. Liver
3. Kidney
4. Brain

Correct answer: 1. Lung

Explanation: White infarcts occur with arterial occlusions in solid organs with end-arterial circulations (e.g., heart, spleen, and kidney), and where tissue density limits the seepage of blood from adjoining patent vascular beds. Infarcts resulting from arterial occlusions in organs without a dual circulation typically become progressively paler and sharply defined with time . By comparison, hemorrhagic infarcts are the rule in the lung and other spongy organs . Extravasated red cells in hemorrhagic infarcts are phagocytosed by macrophages, and the heme iron is converted to intracellular hemosiderin. Small amounts do not impart any appreciable color to the tissue, but extensive hemorrhages leave a firm, brown residuum. ( Robbins Basic Pathology, 9 th edition, page 92)